A middle aged female patient comes with recurrent painful blisters over oral mucosa and genital area. She gives history of similar lesion in the past. A biopsy from the lesion shows suprabasal split on histopathology and IgG deposits in immunofluorescence microscopy as shown below. What is the most likely diagnosis?
1. Eczema
2. Pemphigus vulgaris
3. Lupus vulgaris
4. Dermatitis herpetiformis

Correct answer: 2. Pemphigus vulgaris

Explanation: Clinical history like flaccid bullae, oral mucosal involvement, tendency to rupture and erode, is suggestive of pemphigus vulgaris. The Immunofluorescent examination finding in Pemphigus vulgaris are deposition of lgG3 & C3 in intercellular space giving fish net pattern.